After giving treatment for Syphilis, the response to treatment can be best assessed by -
1. FTA- ABS
2. VDRL
3. TPHA
4. Immobilization test

Correct answer: 2. VDRL

Explanation: VDRL can be used for treatment monitoring as specific tests remains positive (reactive) after the treatment. A fourfold decrease in titre following therapy suggests adequate therapy, whereas a fourfold increase in titre of reaginic antibodies following therapy suggests reinfection or relapse. FTA-ABS: Treponema-specific test. First test to be positive: FTA-ABS. TPHA: After successful therapy, the hemagglutinating antibodies continue to persist in the serum for a longer time; hence this test is of no prognostic value. T. pallidum immobilization test: TPI test was the first specific treponemal test, that detects the treponemal antibodies in patient's serum, which immobilize motile virulent T. pallidum.